Order in lochia:
1. Serosa, rubra, alba
2. Rubra, serosa, alba
3. Alba, rubra, serosa
4. Rubra, alba, serosa

Correct answer: 2. Rubra, serosa, alba

Explanation: Ans. Rubra, serosa, alba